Ig secreted in secondary immune response is:
1. Ig G
2. Ig M
3. Ig A
4. Ig E

Correct answer: 1. Ig G

Explanation: Types of vaccinesLive attenuated vaccineKilled vaccineSubunit vaccineToxoidOral Polo Vaccne (Sabin)Injectable Polio Vaccine (Salk)Hepatitis B vaccine (HbSAq)Tetanus toxoidYellow FeverRabiesTyphim-Vi (Typhoid Vi antigen)Diphtheria toxoidVaricellaJapanese encephalitis MeaslesCholera Mumps Rubella BCG Typhoral (mutant S. typh: strain Ty2 1a) Ref: Ammtkanaraycm. Paniker CJ. Textbook of microbiology. 8th Edition. London: John Wiley & Sons: 2009. Pg. 139Explanation:Primary immune response is the antibody response to an initial antigenic stimulus, white response to subsequent stimuli with the same antigen is known as secondary immune response.Differences between primary and secondary immune responsePrimary immune responseSecondary immune responseSlow, sluggish and short-livedPrompt, powerful and prolonqedLong lag phaseShort or negligible lag phaseLow titre of antibodies that does not persist for longHigh titre of antibodies that last longerAntibody formed is predominantly IgMAntibody formed is predominantly IgGRemember M->G (Mahatma Gandhi)